Submaxillary calculi can be visualized by X-ray in:
1. 20% cases
2. 50% cases
3. 60% cases
4. 80% cases

Correct answer: 4. 80% cases

Explanation: 80% of all salivary stones occur in the submanidbular glands because their secretions are highly viscous. 80% of submandibular stones are radiopaque and can be identified on plain radiograph.